The blast cells of acute lymphocytic leukemia in childhood contain
1. Surface antigen
2. CALLA Ag
3. Antibodies to WBC
4. Thrombocytopenia

Correct answer: 2. CALLA Ag

Explanation: CALLA (common acute lymptoblastic leukemia antigen) is CDIO
CALLA positive acute leukemias have best progrosis.